Gene for Wilm's tumor is located on-
1. Chromosome 1
2. Chromosome 10
3. Chromosome 11
4. Chromosome 12

Correct answer: 3. Chromosome 11

Explanation: Harshmohan textbook of pathology 7th edition Wilm' s tumour associated gene WT1 gene located on chromosome 11p13. Mutated form of WT 1 gene is by deletion in people with wilm's tumour aniridia , genital urinary anomalies and mental retardation- WAGR syndrome. .